Which is not a step of PCR?
1. Annealing
2. Extension
3. Transformation
4. Denaturation

Correct answer: 3. Transformation

Explanation: The PCR is a method of amplifying a target sequence of DNA. The development of PCR has revolutionized the ways in which both DNA and RNA can be studied. PCR provides a sensitive, selective, and extremely rapid means of amplifying any desired sequence of DNA. Specificity is based on the use of two oligonucleotide primers that hybridize to complementary sequences on opposite strands of DNA and flank the target sequence. The two DNA strands each serve as a template for the synthesis of new DNA from the two primers. Repeated cycles of heat denaturation, annealing of the primers to their complementary sequences, and extension of the annealed primers with DNA polymerase result in the exponential amplification of DNA segments of defined length (a doubling at each cycle).Ref: Harpers Illustrated Biochemistry, 30th edition, page no: 458